Which of the following is true of molluscum contagiosum?
1. Treatment is extirption
2. Is an STD
3. Virall infection
4. All

Correct answer: 4. All

Explanation: D i.e. All of the above Molluscum contagiosum is caused by poxvirus family (genus molluscipox) virusQ. Transmission may occur direct skin or mucous membrane contact (eg. touching & sexual contact) Q or fomites. Characteristic lesion is extremely small, pink, shiny pearly white or skin (flesh) colored, umblicated papule containing a grayish central plug (pore) on face & genitals in childrenQ. Treatment includes watchful waiting, curettage and cryotherapyQ.